The specialized group of mesenchymal cells that aggregate to form blood islands centrally and primitive blood vessels peripherally are called
1. Fibroblasts
2. Angioblasts
3. Cardiac progenitor cells
4. Myoblasts

Correct answer: 2. Angioblasts

Explanation: The angioblasts are the mesenchymal cells that form blood vessels in embryonic development, as well as embryonic blood cells.